Which of the following drugs is not used for MRSA?
1. Cefaclor
2. Cotrimoxazole
3. Ciprofloxacin
4. Vancomycin

Correct answer: 1. Cefaclor

Explanation: Cefaclor: It retains significant activity by the oral route and is more active than the first generation compounds against H. influenzae, E. coli and Pr. mirabilis. Other Indications & Uses: Klebsiella spp, Staphylococci, group A beta-hemolytic streptococci ESSENTIALS OF MEDICAL PHARMACOLOGY K.D.TRIPATHI SIXTH EDITION PAGE NO:705